Number of children in family is an example of:
1. Quantitative data
2. Discrete data
3. Both of the above
4. None of the above

Correct answer: 3. Both of the above

Explanation: Quantitative data includes discrete and continuous data. Discrete data values are distinct and separate. Values are invariably whole numbers. Examples include number of children in family. Ref: Medical biostatistics, 1st edition pg: 97